Advantage of Zinc containing amalgam is:
1. Better handling property
2. Dimensional stability
3. Resistance to creep
4. Toxicity to pulp and dentin

Correct answer: 1. Better handling property